Epidemic typhus causes & vector
1. R. typhi & mite
2. Rickettessia prowazki & louse
3. R. conori & tick
4. R. akari & mite

Correct answer: 2. Rickettessia prowazki & louse